Antipsychotic drug with maximum hypotensive effect is
1. Fluphenazine
2. Trifluperazine
3. Thioridazine
4. Haloperidol

Correct answer: 3. Thioridazine

Explanation: low potency antipsychotics like thioridazine and chlorpromazine are associated with lot of systemic side effects as mentioned in the below table. They have side effects like hypotension, sedation, giddiness, dryness of mouth and cardiac side effects. High potency has lot of neurological side effects. Ref.Kaplon and sadock, synopsis of psychiatry, 11 th edition, pg no. 972